Drug of choice for primary syphilis is :
1. Ampicillin
2. Benzathine penicillin
3. Erythromycin
4. Tetracycline

Correct answer: 2. Benzathine penicillin